Which out of these is the cause of menopause?
1. Ovarian failure secondary to cessation of pituitary secretion of gonadotropins
2. Ovarian failure secondary to cessation of hypothalamic secretion of GnRH
3. Deranged hypothalamic-pituitary-ovarian axis functioning
4. Primary ovarian failure

Correct answer: 4. Primary ovarian failure

Explanation: Menopause occurs due to Ovarian failure which occurs due to programmed apoptosis of ovarian follicles. Please note : The HPO axis remains intact even in older women and because of the integrity of this axis, there is an increase in FSH due to loss of inhibitory feedback of estrogens on pituitary.